Rigor mortis first starts in :
1. Upper eyelids
2. Lower eyelids
3. Lower limbs
4. Fingers

Correct answer: 1. Upper eyelids

Explanation: A i.e. Upper eyelid